Bleur's symptoms of schizophrenia include A/E:
1. Autism
2. Automatism
3. Affect disturbance
4. Loosening of association

Correct answer: 2. Automatism

Explanation: B i.e. Automatism